Which of the following is a parasympatholytic agent ?
1. Atropine
2. Neostigmine
3. Pyridostigmine
4. Acetylcholine

Correct answer: 1. Atropine

Explanation: Ans. is 'a' i.e., Atropine o Atropine is an anticholinergic (parasympatholytic) drug. o Other three are cholinergic (parasympathomimetic) drugs.